Ecadherin Gene deficiency is seen in
1. Gastric cancer
2. Intestinal cancer
3. Thyroid cancer
4. Pancreatic cancer

Correct answer: 1. Gastric cancer

Explanation: ref Robbins 8/e p96; 9/e p297 Cadherins are derived from the "calcium dependant adherence protein".it participate in interaction between cells of same type The linkage of cadherins with the cytoskeleton occurs through catenins .the cell to cell interaction mediated by cadherins and catenins play a differentiation and account for the inhibition of cell proliferation that occurs when cultured normal cells contact each other